Infective endocarditis is least likely to occur in
1. Arterial septal defect
2. Small ventricular septal defect
3. Mitral valve prolapse
4. Tetrology of heart

Correct answer: 1. Arterial septal defect

Explanation: Ref Harrison 19 th ed pg 816 Infection most commonly involves heart valves but may also occur on the low-pressure side of a ventricular septal defect, on mural endocardium damaged by aberrant jets of blood or foreign bodies, or on intracardiac devices themselves. The analogous process involving arteriovenous shunts, arterio-arterial shunts (patent ductus arteriosus), or a coarctation of the aorta is called infective endarteritis.